Streptococcus and pneumococcus are differentiated by-a) Bile salt solubility b) Growth characteristicc) Gram stainingd) Inulin fermentation
1. b
2. c
3. ad
4. ab

Correct answer: 3. ad